The first generation amalgam was studied and recommended by?
1. Edward Crawcour
2. Wilmer Eames
3. Moses Crawcour
4. G. V. Black

Correct answer: 4. G. V. Black

Explanation: The first generation of amalgam was studied and recommended by G.V. Black
Reference: Marzouk Operative dentistry, pg-105